What was the theme for World Health Day in 1976?
1. Better eyes better health
2. Foresight prevents blindness
3. Better vision better future
4. None of the above

Correct answer: 2. Foresight prevents blindness

Explanation: "Foresight prevents blindness" was the slogan chosen by WHO for World Health Day in 1976, when efforts were made around the world to raise public awareness about the problem of preventable blindness. Ref: Education Of Communicable And Non-Communicable Diseases By Sumer Lal Goel, 2009, Page 149.